All of the following abbreviations are true excepta) AMP-Adenosine monophosphateb) CMP-Cytidine monophosphatec) GMP-Guanosine monophosphated) TMP-Thymine monophosphatee) UMP-Uracil monophosphate
1. ab
2. de
3. cd
4. bd

Correct answer: 2. de